Term cafe coronary was coined by
1. Roger Haugen
2. J Morton
3. Neil Markson
4. M. Hoppefiel

Correct answer: 1. Roger Haugen

Explanation: Cafe coronary was coined by Dr. Roger Haugen, Medical examiner of Broward, Florida for impaction of food in the respiratory passage. The original series of deaths involved well-nourished businessmen dying suddenly & unexpectedly in restaurants & cafes, while sitting or shortly after sitting in a chair, as if they died of heart attack. Hence, the name 'cafe coronary'. However the autopsy reveals a bolus of food in the pharynx or larynx. Reff: Textbook of forensic medicine & Toxicology 6th edition pg : 112